The complications of irrigating fluid used in TURP are all except -
1. Water intoxication
2. Hyperammonemia
3. Hyperthermia
4. Hyperglycemia

Correct answer: 3. Hyperthermia

Explanation: Ans. is 'c' i.e., Hyperthermia Feature of TURP Syndromeo Water intoxicationo Hyponatriemiao Hyperammonemia (if glycine is used)o Hyperglycemiao Hypothermiao DIC (late stages)